Incubation period less than 10 days seen ?
1. Influenza
2. Cholera
3. Plague
4. All

Correct answer: 4. All

Explanation: Ans. is `a' i.e., Influenza; 'b' i.e., Cholera; 'c' i.e., Plague Agent Incubation Period Chicken pox --> 7 - 21 days Influenza > 18 - 72 hrs Rabies 3 - 8 weeks Cholera 1 - 2 days Plague a) Bubonic 2 - 7 days b) Septicaemic 2 - 7 days c) Pneumonic 2 - 7 days